Choriocarcinoma is most sensitive to:
1. Vincristine
2. Bleomycin
3. Busulfan
4. Methotrexate

Correct answer: 4. Methotrexate

Explanation: Ans. D i.e. Methotrexate